Genes responsible for cleft lip and palate:
1. MSX-1
2. TGF-3
3. FGFR-1
4. All of the above.

Correct answer: 4. All of the above.